A child defecates after meals. What is the cause of this post meal contraction?
1. Gastro colic reflex
2. Gastro gastric reflex
3. Vasovagal reflex
4. Colonoileal reflex

Correct answer: 1. Gastro colic reflex

Explanation: ANSWER: (A) Gastro Colic ReflexREF; Guyton 12th ed page 757, 771The appearance of mass movements after meals is facilitated by gastrocolic and duodenocolic reflexes. These reflexes result from the distension of the stomach and duodenum. They occur not at all or hardly at all when the extrinsic autonomic nerves to the colon have been removed. These reflexes transmit signals Long distances to other areas of the GIT, such as signals from the stomach to cause evacuation of the colon